All of the following are side efffect of ropinirole except:
1. Sedation
2. Nausea
3. Retroperitoneal Fibrosis
4. Hallucination

Correct answer: 3. Retroperitoneal Fibrosis